Latent squint is also known as -
1. Hyperphoria
2. Exophoria
3. Heterophoria
4. Esopheria

Correct answer: 3. Heterophoria

Explanation: Lateral squint is also known as "Heterophoria" It is a condition in which tendency of the eyes to deviate is kept latent by fusion. Therefore, when the influence of fusion is removed the visual axis of one eye deviates away. Ref : A.K.Khurana; 6th edition;Page no: 344